Which is the most common location of the tumor glioblastoma multiforma?
1. Brainstem
2. CP angle
3. Frontal lobe
4. Temporal lobe

Correct answer: 3. Frontal lobe

Explanation: Frontal lobe is the most common and classical location of Glioblastoma multiforme.